Degeneration of periodontal tissue without inflammation is called
1. Periodontosis
2. Periodontitis
3. Pericorinitis
4. Desquamative gingivitis

Correct answer: 1. Periodontosis